All are true about HLA complex except
1. Class-I antigen are expressed in all nucleated cells and platelets
2. Class-II inducts helper T-cells
3. Class-I is homodimer whereas Class-II is heterodimer
4. Class- I inducts cytotoxic T-cells

Correct answer: 3. Class-I is homodimer whereas Class-II is heterodimer